Wof does not cause Tinea capitis
1. Epidermophyton floccosum
2. Microsporum
3. Trichophyton violaceum
4. Trichophyton rubrum

Correct answer: 1. Epidermophyton floccosum

Explanation: Ref:- Neena khanna; pg num:-283